Which type of paraneoplastic syndrome is most commonly associated with lung carcinoma?
1. SIADH
2. Gynaecomastia
3. Acanthosis nigricans
4. Hypocalcaemia

Correct answer: 1. SIADH

Explanation: Ans. is 'a' i.e., SIADH * Among the given options, SIADH is the most common paraneoplastic syndrome associated with lung carcinoma as Small cell carcinoma is the most common type of lung cancer associated with ectopic hormone production and paraneoplastic syndrome and ADH (Causing SIADH), ACTH (Causing cushingsyndrome) production are predominantly associated small cell carcinoma whereas those that produce hypercalcemia (due to PTH) are mostly squamous cell tumors. Gynaecomastia (due to gonadotropin) isassociated with large cell carcinoma.* Other paraneoplastic syndromes are Lambert eaton syndrome, Acanthosis nigricons and hypertrophic pulmonary oseoarthropathy (clubbing & periosteal reaction).